Most common symptom of ectopic pregnancy:
1. Bleeding
2. Pain
3. Abortion
4. Infection

Correct answer: 2. Pain

Explanation: Ans. B. PainEctopic pregnancy is characterized by the triad of amenorrhoea, pain and BPV of which the most common symptom is pain. The diagnosis is based on clinical features and ultrasound, though laparoscopy is the gold standard. When diagnosis is in doubt serial estimation of HCG is done over 48 hrs. A rise <66% is s/o ectopic pregnancy.